Ice pack test is due for -
1. Myesthenia gravis
2. Multiple system atrophy
3. Hyperparathyroidism
4. Hypokalemic periodic paralysis

Correct answer: 1. Myesthenia gravis

Explanation: Ans. is 'a' i.e., Myesthenia gravis o The ice pack test is a bedside test to help in the diagnosis of myethenia gravis.